Maturation of spermatozoa takes place in -
1. Epididymis
2. Seminiferous tubules
3. Prostate gland
4. Vas deferens

Correct answer: 1. Epididymis

Explanation: Ans. is 'a' i.e., Epididymis * Spermatozoa leaving the testis (seminiferous ubules) are not fully mobile. They continue their maturation and acquire their mobility during their passage through epididymis. From epididymis they come to vas deference, distal end of which also receives the secretions of seminal vesicle, and continues as the ejeculatory duct. The ejeculatory duct joins the prostatic urethra.* Once ejeculated into the the female, vaginal secretions improve the motility and fertilizing ability of sperms. Further exposure to secretions of female genital tract (in uterus and/or fallopian tube) further improves the mobility and fertilizing ability of the sperms. The beneficial effects of stay in the female genital tract are collectively called capacitation, from the isthmus, capacitated sperms move rapidly to the ampullas, where fertilization takes place.